A patient has been prescribed a drug A by a doctor for treating his hypertension. This drug can cause tachycardia and marked fluid retention. Which of the following can be the drug A ?
1. Captopril
2. Guanethidine
3. Minoxidil
4. Metoprolol

Correct answer: 3. Minoxidil